Appreciation of shape and size of an object placed in the hand is lost in the lesion of
1. Tractus gracilis
2. Tractus cuneatus
3. Lateral spinathalamic tract
4. Spino - reticular tract

Correct answer: 2. Tractus cuneatus

Explanation: Ans. (b) Tractus cuneatus(Ref: Ganong, 25th ed/p.168)Appreciation of shape and size of an object placed in the hand is a function of Tractus cuneatus